A vertically oval dilated pupil is seen in
1. Acute primary angle closure glaucoma
2. Wernicke's korsakoff psychosis
3. Neurosyphilis
4. Paralysis of oculomotor nerve

Correct answer: 1. Acute primary angle closure glaucoma

Explanation: (Refer: AK Khurana Comprehensive Ophthalmology, 6th edition, pg no. 239 - 240)In acute primary angle closure glaucoma-Pupil is semi-dilated, vertically oval and fixed. It is non-reactive to both light and accommodation There is a strong resemblance in the pupillary shape in cases with acute congestive glaucoma and cases dilated with sympathomimetics. The acute pain present in acute congestive glaucoma may trigger autonomic nervous system imbalance and sympathetic overactivity in these cases and may dilate the pupil vertically oval.